All of the following are NREM sleep disorders except
1. Somnambulism
2. Pavor nocturnus
3. Nightmares
4. Somniloquy

Correct answer: 3. Nightmares